Stain for fat, all except:
1. Oil red O
2. Sudan black
3. Sudan III
4. Congo red

Correct answer: 4. Congo red

Explanation: Ans. is 'd' i.e., Congo redo Congo red is not used in lipid staining. It is used in the staining of amyloid protein.Staining for lipidsExamplesStain usedNon nolar linidsUnconjugatedlipidsFatty acidsOil red O, Sudanblack, Sudan III & IVFilipinSchultzCalcium lipaseCholesterolCholesteryl estersMono, di and Tri-glyceridesEstersPolar lipidsPhospholipids Glycerol basesPhosphatidylcholinePhosphatidvlserinePhosphatidylethanol amineSphingomyelinsCerebrosidesSulfatidesGangliosidesNile blue sulfateNile blue sulfatePlasmal reactionFerric hematoxylinPASAcetone/Toluidine buePASSphingosine-baseGlycolipids